Most common glial tumor-
1. Ependymomas
2. Astrocytoma
3. Meningioma
4. Neurofibroma

Correct answer: 2. Astrocytoma

Explanation: Ans. is 'b' i.e., Astrocytoma o Most common glial tumor-Astrocytomao Most common meningeal tumor-Meningioma Conventional classification of CNS tumorso Conventionally, CNS tumors are classified into following three groups1) Glial tumors :- Primary tumors of the CNS that arise from the three glial cells present in the CNS, i.e., astrocytes, oligodendrocytes and ependymal cells. Examples are astrocytomas, oligodendrogliomas, ependymomas, mixed gliomas.2) Neuronal tumors :- Primary tumors of the CNS that contain mature appearing neurons or show neuronal lineage. Examples are neurocytomas, gangliocytomas andgangliogliomas.3) Embroyonal tumors (poorly differentiated tumors) :- Primary tumors of the CNS which thought of neuroectodermal origin express few if any phenotype features of mature cells of nervous system. Examples are medulloblastomas, neuroblastomas and ependymoblastomas.